Waxy flexibility is a characteristic sign of:
1. Excitatory catatonia
2. Stuporous catatonia
3. Obsessive compulsive disorder
4. Paranoid schizophrenia

Correct answer: 2. Stuporous catatonia

Explanation: Waxy flexibility is a sign of catatonia. In waxy flexibility, when examiner makes a passive movement on patient, there is a feeling of plastic resistance which resembles bending of a soft wax candle. It is seen in stupors catatonia more commonly. In excitatory catatonia, instead of stupor, patient shows increased levels of goal less activity.